Genetic disorder predisposing patients to develop Berry aneurysm includes all EXCEPT:
1. Adult polycystic kidney
2. Fibromuscular dysplasia
3. Neurofibromatosis Type II
4. Marfan's syndrome

Correct answer: 3. Neurofibromatosis Type II

Explanation: Ans. (c) Neurofibromatosis Type IIRef: Surgery Sixer 3rd Edition Page 957Associated with* ADPKD* Ehler Danlos Syndrome* Marfan's Syndrome* Fibromuscular dysplasia* NF-1